Meth mites are seen in all except:
1. Cocaine
2. Amphetamine
3. Ergot
4. Lead

Correct answer: 4. Lead

Explanation: Meth mites (also known as Formication/Tactile hallucinations) are the sensation of mites crawling under the skin. Seen in chronic Amphetamine poisoning, in Arsenic and Ergot poisoning also.